Carcinoid tumour develops from:
1. Hematopioetic cells
2. Kulschitsky cells
3. Neuroglial cells
4. Chromaffin cells

Correct answer: 2. Kulschitsky cells

Explanation: - Carcinoid tumour/neuroendocrine tumor arises from neuroendocrine cells called Kulschitsky cells/Enterochromaffin (EC) cells present in gastrointestinal tract & respiratory tract.